All are injuries of the lower end of radius except :
1. Smith's fracture
2. Colle's fracture
3. Night stick fracture
4. Barton's fracture

Correct answer: 3. Night stick fracture

Explanation: Colle's fracture and smith's fracture : Extra - articular fracture of distal end radius.
Barton's fracture : Intra - articular fracture of distal end radius with carpus dislocation.
Nightstick fracture : Isolated fracture of the ulna.